GLUT 4 Receptors are primarily found in which tissues:
1. Brain, red blood cells
2. Liver, Kidney, Ileum
3. Neurones and placenta
4. Skeletal muscle, fat and cardiac tissue

Correct answer: 4. Skeletal muscle, fat and cardiac tissue

Explanation: GLUT 4 receptors are primarily found in skeletal muscle, fat and cardiac tissue. Q Which GLUT is characteristically found in placenta GLUT 3 Q Which GLUT is characteristically a fructose transporter GLUT 5 Q Blood to brain glucose transport facilitated by GLUT 1 Q Main insulin responsive glucose transporter is GLUT 4 Ref: Harper 30th edition Pgno: 191